Most commonly fractured carpal bone
1. Hamate
2. Lunate
3. Scaphoid
4. Capitates

Correct answer: 3. Scaphoid

Explanation: • The scaphoid is a BOAT SHAPED carpal bone and has a tubercle in its lateral side.
• Scaphoid bone is the most commonly fractured carpal bone.
• Lunate (crescent shaped) is the 2nd most commonly fractured carpal bone.
• Scaphoid fracture is usually caused by a fall on an outstretched hand with the weight landing on the palm.
• Scaphoid bone forms the floor of the anatomical snuff box.
• It articulates with the following bones: radius, lunate, capitate, trapezium, and trapezoid.